For NRR to be 1, couple protection rate should be?
1. 20%
2. 40%
3. 60%
4. 80%

Correct answer: 3. 60%

Explanation: To achieve the demographic goal of NRR 1 the couple protection rate (CPR) should have to be achieved by 60% far beyond the present level. The objective was to assess the contraceptive prevalence rate by different methods and to find out the correlation of different biosocial factors with the use of contraception.